Which of the following muscle is innervated by both musculocutaneous and radial nerve?
1. Biceps brachi
2. Coracobrachialis
3. Brachialis
4. Brachioradialis

Correct answer: 3. Brachialis

Explanation: MuscleNerve supplyActionsBrachialis1. Musculocutaneous nerve is moton2. Radial nerve is proprioceptiveFlexes forearm at the elbow jointRef: BD Chaurasia; Volume 1; 6th edition; Page no: 85